A patient presents with Arthritis, hyperpigmentation of skin and hypogonadism, likely diagnosis is.
1. Hemochromatosis
2. Ectopic ACTH secreting tumour of the lung
3. Wilson's disease
4. Rheumatoid arthritis

Correct answer: 1. Hemochromatosis

Explanation: Answer is A (Hemochromatosis):The association of Arthritis, hyperpigmentation of skin and hypogonadism suggests the diagnosis of hematochromatosis.